Vagal stimulation causes the following effects except
1. Increase in intestinal secretion
2. Constriction of intestinal musculature
3. Relaxation of bronchial musculature
4. Fall in the blood pressure

Correct answer: 3. Relaxation of bronchial musculature

Explanation: Vagal stimulation in heart causes bradycardia leading to fall in bpRef: Ganong's review of medical physiology; 23rd edition; pg: 556Parasympathetic supply nerve supply in thorax and upper abdomen is by vagus nerve. And in its stimulation in git, there is increased motility and tone, relaxation of sphincters, stimulation of secretions. In lungs, it causes bronchial muscle contraction. Ref: Ganongs review of medical physiology; 23rd edition ; pg :267 ;table 17-1